Trendelenurg test is positive in injury to -
1. Inferior gluteal nerve
2. Superior Gluteal Nerbve
3. Lateral Popliteal nerve
4. Sciatic Nerve

Correct answer: 2. Superior Gluteal Nerbve

Explanation: Ans. is 'b' i.e., Superior Gluteal Nerbve o Has been explained in previous sessions.